A one-month-old female child has swelled over the back in the sacral region. There is no cough impulse in the swelling. X-ray examination shows erosion of the coccyx. The most likely clinical diagnosis would be -
1. Meningocele
2. Lipoma
3. Sacro-coccygeal teratoma
4. Neurofibroma

Correct answer: 3. Sacro-coccygeal teratoma

Explanation: In meningocele, there will be cough impulse.